Dysphagia Lusoria is caused by -
1. Compression by aberrant blood vessels
2. Achalasia Cardia
3. Mallory Weiss Tear
4. CA Esophagus

Correct answer: 1. Compression by aberrant blood vessels

Explanation: Ans. is 'a' i.e., Compression by aberrant blood vessels o Dysphagia Lusoria is a disorder of swallowing caused due to vascular anomalies.o Causes of Dysphagia Lusoria.# A right aortic arch# A double aortic arch# A vascular constricting ring formed by a PDA or a ligamentum arteriosum and the pulmonary artery or aortic arch.# An abnormal right subclavian artery.(Arteria lusoria)# An abnormal innominate artery.o Diagnosis is made by a lipoidal swallow or by arteriography.